All the following are causes of hyperthermia except:
1. Hypothyroidism
2. Cerebral hemorrhage
3. Succinyl Choline
4. Pheochromocytoma

Correct answer: 1. Hypothyroidism

Explanation: Ans: A (Hypothyroidism) Ref: Harrison's principles of Internal Medicine. 18th edition. 2012. Chapter 16. Pg.143Causes of HyperthermiaHeat StrokeExertional: Exercise in higher than normal heat and humidityNonexertional: Anticholinergics, antiparkinsonian drugs: diuretics: ohenothiazinesDrug-Induced HyperthermiaAmphetamines, cocaine, phencyclidine (PCP), lysergic acid diethylamide (LSD), salicylates, lithium, anticholinergicsNeuroleptic Malignant SyndromePhenothiazines; butyrophenones, haloperidol and bromperidol: fluoxetine; loxapine; tncyclic dibenzodiazepines; metoclopramide; dom peri done; thiothixene; molindone.Serotonin SyndromeSelective serotonin reuptake inhibitors (SSRIs), monoamine oxidase inhibitors (MAOIs), tricyclic antidepressantsMalignant HyperthermiaInhalational anesthetics, succinyicholine EndocrinopathyThyrotoxicosis, pheochromocytoma Central Nervous System DamageCerebral hemorrhage, status epiiepticus, hypothalamic injury